All the following  hormones have receptors on the plasma membrane of target tissues except:
1. Thyrotropin
2. Glucagons
3. Estradiol
4. Epinephrine

Correct answer: 3. Estradiol